"Coffee bean" sign is seen in -
1. Intussusception
2. Bowel ischaemia
3. Sigmoid volvulus
4. Congenital hypertrophic pyloric stenosis

Correct answer: 3. Sigmoid volvulus

Explanation: Description : Intussusception: usg signs : target sign ,pseudokidney sign, crescent in a doughnut sign Bowel ischemia signs: pneumatosis intestinalis , pneumatosis portalis. Sigmoid volvulous :X- ray :coffee bean sign,frimann-dahl sign; CT scan : whirl sign and birds beak sign CHPS : on fluoroscopy caterpillar sign, string sign, double track sign